Polio vaccine is which type of prevention:
1. Primary
2. Secondary
3. Tertiary
4. Primordial

Correct answer: 1. Primary

Explanation: Ans. (a) PrimaryRef.: K. Park 23rd ed. 141, 370-74